Which of the following liver tumour has a propensity to invade the portal or hepatic vein -
1. Cavernous hemangioma
2. Hepatocellular carcinoma
3. Focal nodular hyperplasia
4. Hepatic adenoma

Correct answer: 2. Hepatocellular carcinoma

Explanation: Robbins states "All patterns of hepatocellular carcinoma have a strong propensity for invasion of vascular channels. Extensive intrahepatic metastasis ensues and occasionally long snake like masses of tumour invade the portal vein or inferior venacava, extending even into the right side of the heart".
All other options given in the question are benign tumors of the liver and they neither invade the adjacent structures, nor do they metastasize to distant sites.